Staphylococcus is?
1. Gram-positive cocci
2. Gram-negative cocci
3. Gram-positive bacillus
4. Gram-negative bacillus

Correct answer: 1. Gram-positive cocci

Explanation: Staphylococcui are Gram-positive cocci that occur in grape like clsters . Ref: Ananthanarayan & panikers Textbook of Microbiology 9th edition page no199